A health assistant (male) covers a population of -
1. 1,000
2. 5,000
3. 30,000
4. 1,00,000

Correct answer: 3. 30,000

Explanation: - the suggested norm of health assistant male is 1 per 30,000 population in plain area and 20,000 population in tribal or hilly areas. - he provide supportive supervision to 6 health workers. Reference : Park's textbook of preventive and social medicine, 23rd edition, pg no:900